Posterior cardinal vein develops into:
1. Superior vena cava
2. Internal jugular vein
3. External jugular vein
4. Common iliac vein

Correct answer: 4. Common iliac vein

Explanation: -Right Posterior cardinal veins contribute to inferior vena cava and common iliac veins. Left anterior and Left posterior cardinal veins regress - Superior vena cava and jugular veins develop from anterior cardinal veins.